Site for injection of cell culture rabies vaccine-
1. Gluteus
2. Subcutaneous
3. Deltoid
4. Anterior abdominal wall

Correct answer: 3. Deltoid

Explanation: The vaccine is to be given IM or SC in the deltoid region REF:ANANTHANARAYANAN TEXT BOOK OF MICROBIOLOGY 9EFITION PGNO.536